Death of unborn child by an act of parents comes under IPC ?
1. 302
2. 316
3. 300
4. 314

Correct answer: 2. 316

Explanation: Ans. is 'b' i.e., 316Death of quick unborn child by act amounting to culpable homicide (10 years imprisonment + fine) - 316 IPC.